Bence Jones proteins are best described as:
1. u chains
2. g chains
3. Kappa and Lambda chains
4. Fibrin split products

Correct answer: 3. Kappa and Lambda chains

Explanation: Ans. is 'c' i.e., Kappa and Lambda chains (Ref: Ananthanarayan, 9th/e, p. 99 and 8th/e, p. 100)* A Bence Jones protein is a monoclonal globulin protein or immunoglobulin light chain found in the urine, with a molecular weight of 22-24 kDa. Detection of Bence Jones protein may be suggestive of multiple myeloma or Waldenstrom's macroglobulinemia.* Bence Jones proteins are light chains of immunoglobulins so may occur as Lambda or Kappa forms, but in any other patient the chain is either Kappa or Lambda, never both.